Dysthyroid ophthalmopathy all are true except -
1. Proptosis
2. Myopathy
3. Exophthalmos
4. Optic neuritis

Correct answer: 4. Optic neuritis

Explanation: Features of Thyroid ophthalmopathy : Lid signs: Dalrymple's, von Graefe's, Enroth's, Gifford's, Stellwag's Conjuntival signs : deep injection and chemosis Pupillary signs : inequality of dilatation of pupils. Occular motility defects. Exophthalmos Exposure keratitis Optic neuropathy : papilledema or optic atrophy. Ref: AK Khurana 6thE pg414